In normal puerperium, all true regarding involution of uterus except:
1. At the end to the 6 weeks, becomes non pregnant state
2. The number of muscle fibres is not decreased but there is substantial reduction of the myome trial cell size
3. At the end of the 4th week uterus becomes a pelvic organ
4. Weight of uterus about 60 gram at end of six weeks

Correct answer: 3. At the end of the 4th week uterus becomes a pelvic organ